Legionnaire disease is caused by?
1. Motile gram positive
2. Motile gram negative
3. Non-motile gram positive
4. Non-motile gram negative

Correct answer: 2. Motile gram negative

Explanation: Ans. is 'b' i.e., Motile gram negative . Legionnaire disease is caused by legionella pneumophila, which is a gram-negative motile coccobacilli.